Recommendation of daily moderate exercise for an adult is for?
1. 15 min
2. 30 min
3. 45 min
4. 60 min

Correct answer: 2. 30 min

Explanation: ANSWER: (B) 30 minREF: Park s 22 Ed page 616Individuals over the age of 20 years should undertake a minimum of 30 minutes of physical activity of moderate intensity (such as walking 5-6 km/hr) on most, if not all days of the week. Greater health benefits can be obtained by engaging in physical activity of longer duration or more vigorous intensity (such as jogging, running, cycling and swimming).Exercise programme should include 'warm up' and 'cool down' periods each lasting for 5 minutes. During exercise, the intensity of exercise should ensure 60-70% increase in heart rate.